Design Effect' is associated with which of the following sampling techniques -
1. Stratified sampling
2. Systemic sampling
3. Cluster sampling
4. Simple Random Sampling

Correct answer: 3. Cluster sampling